Ropy discharge from the eye is seen in –
1. Phlyctenular conjunctivitis
2. Swimming pool conjunctvitis
3. Spring catarrh
4. Epidemic keratoconjunctivitis

Correct answer: 3. Spring catarrh

Explanation: Ropy (stringy) discharge is seen in vernal keratoconjunctivitis.